Which one of the following is NOT a feature of Delirium?
1. Impairment of consciousness and attention
2. Global disturbance of cognition
3. Disturbance of sleep-wake cycle
4. Catastrophic reaction

Correct answer: 4. Catastrophic reaction

Explanation: (D) Catastrophic reaction # Characteristic features of Delirium: Acute Onset New memory registration & retention impaired Clouding of consciousness Disorientation in time, place & person Hallucination (often visual) Disturb sleep wake cycle, worsening of symptoms in evening and night (called sun downing) Psychomotor disturbance (Inform of hypo or hyperactivity.) Confusion (delirium was also k/a acute confusional state in past) Emotional disturbance> Only immediate and Recent memory is disturbed in Delirium. This leads to impairment in registration & Retention of new memories.> Memory loss means the memory that is already registered is lost (i.e. Remote memory will be lost) and clearly, This is preserved in delirium.> Sleep wake cycle is disturbed Paediatrics